Follman's balanitis is seen in
1. Candida
2. Trichomonas
3. HIV
4. Syphilis

Correct answer: 4. Syphilis

Explanation: Syphilitic balanitis of Follmann (SBF) is a rare condition that is considered as manifestation of primary syphilis. Syphilitic balanitis of Follmann presents with variable clinical appearances, and primary chancre may be absent, associated with, or occur after the balanitis. Usually the inguinal lymphadenopathy is present, and syphilitic serology is positive or is going to become positive. Treatment is identical to that of primary syphilis.